What should be the gelation temperature of agar?
1. 70-100 degrees centigrade
2. 37-45 degrees centigrade
3. 50-60 degrees centigrade
4. 30-40 degrees centigrade

Correct answer: 2. 37-45 degrees centigrade

Explanation: Liquefaction temperature → 70-100o C
Gelation temperature → 37-45o C, just above oral cavity temperature.